The right lobe of liver consists of which of the following segments
1. V, VI, VII & VIII
2. IV, V, VI, VII & VIII
3. I, V, VI, VII & VIII
4. I, IV, V, VI, VII & VIII

Correct answer: 1. V, VI, VII & VIII

Explanation: Caudate lobe Segment 1 Left lobe II, III, IV Right lobe V, VI, VII, VIII Ref: Sabiston 20th edition Pgno : 1421